An obese patient presented in casualty in an unconscious state. His blood sugar measured 400mg% urine tested positive for sugar and ketones Drug most useful in management is -
1. Glibenclamide
2. Troglitazone
3. Insulin
4. Chlorpropamide

Correct answer: 3. Insulin

Explanation: Ketonuria and plasma glucose level confirms the diagnosis of diabeticketoacidosis. The cornerstone to the therapy of diabetic ketoacidosis is insulin. Diabetic ketoacidosis cannot be reversed without treatment with insulin. Oral hypoglycemics have no role in diabetic ketoacidosis. Ref: harrison